A 7 day old infant develops symptoms of neonatal septicemia. Most likely cause is -
1. Local nursery environment
2. Infection through umblical cord
3. Exclusively breast fed baby
4. Infection by GIT bacteria

Correct answer: 1. Local nursery environment

Explanation: Ans. is 'a' i.e., Local nursery environment Neonatal sepsis o Pathogenic bacteria gain access into the blood stream and may cause - i) Overwhelming infection (generalized infection) --> neonatal septicemia ift Localized infection to the lung --> Pneumonia iii) Localized infection to meninges --> Meningitis o Systemic bacterial infections are known by the generic term neonatal sepsis which incorporates septicemia, pneumonia and meningitis of newborn. o Neonatal sepsis can be divided into 1) Early onset Occurs within 72 hours of life. Caused by organism prevalent in maternal genital tract or in the delivery area. 2) Late onset Occurs after 72 hours of life Caused by organisms prevalent in the external environments of the home or the hospital. Most commonly infection is transmitted through the hands of care - providers.